Test for varicose veins include
1. Cough-impulse test
2. Trendelenburg test
3. Schwartz test
4. All of the above

Correct answer: 4. All of the above